Flash autoclaves are done at a temperature of
1. 121C in 15 min
2. 134C in 3 minutes
3. 108C in 45 minutes
4. 160C in 120 minutes

Correct answer: 2. 134C in 3 minutes

Explanation: "Flash" autoclaves, which are widely used in operating rooms, often use saturated steam at a temperature of 134degC for 3 minutes. Autoclave at 121C for 15 minutes Dry heat at 160C for 2 hours Ref: Ananthanarayana textbook of Microbiology 9th edition Pgno : 31